Spontaneous rupture of the liver occurs in ?
1. Hepatoma
2. Portal hypertension
3. Spherocytosis
4. Secondary deposits

Correct answer: 1. Hepatoma

Explanation: Ans. is 'a' i.e., Hepatoma Spontaneous rupture of the liver can be seen in both beningn and malignant tumors of the liver. Hepatoma or HCC is the most common cause.